What is the normal cardiothoracic ratio in children?
1. 30-35%
2. 40-45%
3. 50-55%
4. 60-65%

Correct answer: 3. 50-55%

Explanation: "The cardiac silhouette occupies 50-55% of the chest width. Cardiomegaly is present when the cardiothoracic (CT) ratio is more than 55%".The CTR is measured on a PA chest x-ray and is the ratio of maximal horizontal cardiac diameter to maximal horizontal thoracic diameter (inner edge of ribs/edge of pleura). A normal measurement should be <0.5(50%).(Refer: Nelson's Textbook of Pediatrics, SAE, 1st edition, pg no. 2170)